Solitary bone lesion that does not arise from metaphysis is
1. Giant cell tumour
2. Simple bone cyst
3. Aneurysmal bone cyst
4. Fibrous dysplasia

Correct answer: 1. Giant cell tumour

Explanation: Differential diagnosis of a solitary bone lesion Features Giant cell tumour Simple bone cyst Aneurysmal bone cyst Fibrous dysplasia Age 20-40 yrs < 20 yrs 10-40 yrs 20-30 yrs Common bones Lower femur, Upper tibia Lower radius Upper humerus Upper femur Tibia, Humerus Neck of the femur, Tibia Location Epiphysis Metaphysis Metaphysis Metaphysis X-ray Soap-bubble appearance, Eccentrically placed Maximum width less than width of the growth plate Distending lesion, 'ballooning' the bone Multi-loculated Ground-glass appearance Trabeculations++ Treatment preferred Excision Curettage and bone graft Curettage and bone graft Curettage and bone graft Reference: Maheshwari; Essential Orthopaedics; Page no: 237